Charcot triad is used for
1. Acute cholangitis
2. Acute cholecystitis
3. Cholelithiasis
4. Gall bladder CA

Correct answer: 1. Acute cholangitis

Explanation: Ans. (a) Acute cholangitisRef: Sabiston 19th ed. /1847* Charcoat triad is seen in case of acute cholangitis.* It includes: Pain, Fever, Jaundice